The type of mutation that leads to replacement of Valine for glutamate in Sickle Cell Disease is
1. Point mutation
2. Silent mutation
3. Nonsense mutation
4. None

Correct answer: 1. Point mutation